All are true about ramelteon except:
1. Agonist at MT1 and MT2 receptors
2. Is a substrate of CYP1A2
3. Has high addiction liability
4. Approved for treatment of insomnia

Correct answer: 3. Has high addiction liability

Explanation: Ref:katzung 11/e p374 Ramelteon is non-addictive drug. Ramelteon, marketed as Rozerem among others, is a sleep agent that selectively binds to the MT1 and MT2 receptors in the suprachiasmatic nucleus (SCN), instead of binding to GABAA receptors, such as with drugs like zolpidem. Ref: KD Tripathi 8th ed.